Structure of antibodies is composed of
1. Single peptide chain
2. Two peptide chain
3. Non sulphur aminoacid
4. 2 heavy & 2 light peptidie chain

Correct answer: 4. 2 heavy & 2 light peptidie chain

Explanation: It is made up of 2 heavy (H) chains and 2 light (L) chains, combined through disulfide bridges. In the case of lgG, H chains are composed of 440 amino acids and L chains made up of 214 amino acids. Depending on the heavy chain makeup, the immunoglobulins are differentiated into 5 major classes.Immunoglobulin-G (lgG) is made up of heavy chain g (gamma)lgM has u (mu) heavy chainlgA has a (alpha) heavy chainlgD contains d (delta) lgE heavy chain is called e (epsilon).Ref: D M Vasudevan 7th edition Page no: 687